Which among the following is the most cardiotoxic LA:
1. Dibucaine
2. Bupivacaine
3. Prilocaine
4. Lignocaine

Correct answer: 2. Bupivacaine

Explanation: Bupivacaine induced cytotoxicity is enhanced by acidosis, hypercarbia, hypoxemia.